During autopsy for virology study which agent is used for storing tissue ?
1. Sodium chloride
2. Alcohol
3. Spirit
4. 50% glycerine

Correct answer: 4. 50% glycerine

Explanation: Ans. is 'd' i.e., 50% glycerine